Honeycombimg of lung in C.X.R. is seen in – a) R.A.b) T.B.c) Sclerodermad) Carcinomae) Interstitial lung disease
1. bcde
2. abce
3. acde
4. abde

Correct answer: 2. abce

Explanation: Causes of honeycomb lung

Common causes :- Histiocytosis - X, Scleroderma, RA, Fibrosing alveolitis, Sarcoidosis, ILD, Sarcoidosis, Pneumoconiosis (Silicosis, coal miner's lung, asbestosis, berylliosis), Tuberculosis.
Uncommon causes :-Amyloidosis, chronic interstitial pneumonia, Gaucher's disease, neurofibromatosis, tuberous sclerosis.